Altered sensation over the area of great saphenous vein in the leg is seen due to an injury to which of the following nerves?
1. Femoral
2. Tibial
3. Sural
4. Fibular

Correct answer: 1. Femoral

Explanation: A i.e. Femoral